Anticancer drug with disulfuram like action -
1. Procarbazine
2. Nitrosurea
3. 5 FU
4. Methotrexate

Correct answer: 1. Procarbazine

Explanation: Ans. is 'a' i.e., Procarbazine Disulfiram like reaction Certain drugs when taken concurrently with alcohol produce disulfiram like actions. That means these drugs produce similar distressing symptoms as disulfiram, when taken with alcohol - flushing, burning sensation, throbbing headache, prespiration, unesasiness, tightness in chest, vomiting, dizziness, visual disturbances, mental confusion, postural fainting and circulatory collapse. The drugs causing Disulfiram like actions Chlorpropramide Animal charcol Cephalosporins (Cefoperazone, moxalactam, cefamandole) Griseofulvin Metronidazole Procarbazine Citrated calcium carbamide Tinidazine Cynamide